A primary health care center should provide all except:
1. Treatment of common diseases
2. Specialised surgeries
3. Immunization
4. Family planning services

Correct answer: 2. Specialised surgeries

Explanation: Ans. B: Specialised surgeries Primary health care is provided by city and district hospitals and rural primary health centers (PHCs). These hospitals provide treatment free of cost. Primary care is focused on: Immunization against major infectious disease Promotion of food supply, proper nutrition and prevention of malnutrition Maternal and child health care, including family planning Treatment of common illnesses and injuries Provision of essential drugs Education concerning prevailing health problems and methods of preventing and controlling them. Prevention and control of locally endemic diseases. Adequate supply of safe water and basic sanitation Patients who receive specialized care or have complicated illnesses are referred to secondary (often located in district and taluk headquarters) and tertiary care hospitals (located in district and state headquarters or those that are teaching hospitals).